Death caused by exclusion of air from the lungs by means other than compression at neck and drowning.
1. Suffocation
2. Strangulation
3. Traumatic asphyxia
4. Sexual asphyxia

Correct answer: 1. Suffocation

Explanation: Suffocation literally means to die as a result of not being able to breath or to have difficulty in breathing. Deprivation of oxygen can be by one of the following ways. By lack of oxygen in the atmosphere, so called environmental suffocation. From obstruction of air passages by means other than Compression of neck and drowning Red: TEXTBOOK OF FORENSIC MEDICINE AND TOXICOLOGY KRISHNAN VIJ FIFTH EDITION PAGE 112